Which of the following prokinetic drugs produces extrapyramidal side effects?
1. Metoclopramide
2. Cisapride
3. Domperidone
4. All of the above

Correct answer: 1. Metoclopramide

Explanation: (Ref: KDT 6/e p643, 644) Metoclopramide and domperidone act by blocking D2 receptors. Metoclopramide can cross BBB whereas domperidone cannot. Therefore, metoclopramide can produce extra-pyramidal adverse effects while domperidone is devoid of it. Cisapride acts as 5HT4 agonist. It can cause torsades de pointes.